The most important determinant of a successful outcome following surgery for hallux valgus is:
1. Thorough preoperative assessment
2. The technical skill of the surgeon
3. The management during the first 2 postoperative weeks
4. The long-term management

Correct answer: 1. Thorough preoperative assessment

Explanation: Ans. A. Thorough preoperative assessmentAlthough all the factors listed influence the outcome following surgery for hallux valgus, selection of the wrong patient or the wrong operation is the most frequent error. The decision whether or not to operate must be made on the basis of a comprehensive evaluation that includes assessment of the patient's personality and expectations and careful evaluation of preoperative radiographs.